Thalidomide is not used in:
1. HIV associated neuropathy
2. HIV associated recurrent oral ulcers
3. Erythema nodosum leprosum
4. Behcets diseases

Correct answer: 1. HIV associated neuropathy

Explanation: HIV associated neuropathy